Ideal time for post partum ligation of fallopian tube in a patient of heart disease is :
1. Immediately after delivery
2. One day after delivery
3. One week after delivery
4. Six weeks after delivery

Correct answer: 3. One week after delivery

Explanation: One week after delivery